Following are premalignant except
1. Tubulo villous adenoma
2. Hyperplastic polyp
3. Familial adenomatosis
4. Villous adenoma

Correct answer: 2. Hyperplastic polyp

Explanation: Answer 'b' i.e. Hyperplastic polyp Hyperplastic polyp has no malignant potential.